Unwinding Enzyme in DNA synthesis:
1. Helicase
2. Primase
3. DNA Polymerase
4. Transcriptase

Correct answer: 1. Helicase

Explanation: Ans. A. Helicase(Ref: Harper 31/e page 364)Classes of proteins involved in DNA replicationProteinFunctionDNA polymerasesDeoxynucleotide polymerizationHelicasesProcessive unwinding of DNATopoisomerasesRelieve torsional strain that results from helicase-induced unwindingProteinFunctionDNA primaseInitiates synthesis of RNA primersSingle-strand binding proteinsPrevent premature reannealing of dsDNADNA ligaseSeals the single strand nick between the Nascent chain and Okazaki fragments on lagging strand